The high level clear cell present in the oral epithelium is:
1. Melanocyte
2. Lymphocyte
3. Merkel cell
4. Langerhans cells

Correct answer: 4. Langerhans cells